All of the following statements regarding jaundice in a newborn are true, Except –
1. Physiological Jaundice usually peaks after 48 hours
2. Breast milk jaundice usually peaks after day 7
3. High levels of conjugated bilirubin may cause Kernincterus
4. All of the above are true

Correct answer: 3. High levels of conjugated bilirubin may cause Kernincterus